All of the following are important in determining blood viscosity except?
1. Hematocrit
2. Plasma protein concentration
3. Shear rate
4. Systemic arterial blood pressure

Correct answer: 4. Systemic arterial blood pressure

Explanation: Blood is a non-Newtonian fluid, that changes viscosity with velocity of blood flow. The major determinants of blood viscosity are hematocrit, plasma protein concentration and shear rate or blood flow velocity. These effects are particularly noticeable when the particle size becomes "large" in relation to the vessel size. Red blood cell-vessel effects become measurable when the lumen diameter drops below 1 mm and become important in the microcirculation when the lumen diameter decreases to 100--200 um.